Which does NOT cause optic neuropathy
1. Penicillin
2. INH
3. Ethambutol
4. Chloramphenicol

Correct answer: 1. Penicillin

Explanation: Ans. is 'a' i.e., Penicillin Drugs causing optic neuritis:Aminosalicylic acid - StreptomycinAmiodarone - PhenothiazinesChloramphenicol - PhenylbutazoneEthambutol - QuinineIsoniazid - Penicillamine